All are vesiculo bullous lesions except:
1. Dermatitis herpetiformis
2. Scabies
3. Pemphigus
4. Pemphigoid

Correct answer: 2. Scabies

Explanation: Ans is 'b' i.e, Scabies [Ref: Harrison 16th/e p. 312 t(49.1) & 15th/ep. 323 t(57.12)